Which mechanism will play the dominant role in regenerative repair after chronic liver injury or inflammation?
1. Proliferation of the residual hepatocytes
2. Repopulation from progenitor cells
3. Replacement of parenchymal cells by collagen
4. Both 1 & 2

Correct answer: 2. Repopulation from progenitor cells

Explanation: Liver regeneration from progenitor cells.
In situations in which the proliferative capacity of hepatocytes is impaired, such as after chronic liver injury or inflammation, progenitor cells in the liver contribute to repopulation.
Robin’s Textbook of pathology 10th ed  Page 89